Endemic typhus is transmitted by ?
1. Louse
2. Fleac
3. Tick
4. Mite

Correct answer: 2. Fleac

Explanation: Ans. is 'b' i.e., Flea